The tetracycline with highest antileprotic activity is:
1. Minocycline
2. Doxycycline
3. Demeclocycline
4. Oxytetracycline

Correct answer: 1. Minocycline

Explanation: Minocyclin is the tetracycline with highest antileprotic activity. The drugs having high anti-leprosy activity are: R: Rifampicin (Most effective drug against leprosy) O: Ofloxacin M: Minocycline (Most effective tetracycline against leprosy) ROM regimen is used in single-lesion paucibacillary (SLPB) leprosy